NOT seen in salt water drowning:
1. Hyperkalemia
2. Progressive hypovolemia
3. Circulatory collapse
4. Acute pulmonary edema

Correct answer: 1. Hyperkalemia

Explanation: Ans. Hyperkalemia